Impotence is not a feature of -
1. Double penis
2. Bilateral Castration after puberty
3. Hypospadias
4. Pinale amputation

Correct answer: 2. Bilateral Castration after puberty

Explanation: Ref:synopsis of forensic medicine and toxicology(K.S. Narayan reddy) 28th edition , page no.199 Absence of penis excludes coitus and non development of penis may prevent the sexual act, Double penis and the penis adherent to scrotum may cause difficulty in sexual intercourse.In case of partial amputation, sexual act may not be possible.Certain malformations of external genitalia, eg.,intersexuality,hyposepadiasis and epispadiasis may prevent intercourse, and even when intercourse is possible, the seminal fluid may not reach the vagina,because of abnormal position of urethral orifice. Loss of both testicles cause complete sterility after sometime, but may not produce impotance. If the testes are removed before puberty impotence is certain, but if the testes are lost after puberty, potency is retained.